Which of the following can differentiate hysterical fits from epileptic fits?
1. Occur in sleep
2. Injuries to person
3. Incontinence
4. Occur when people are watching

Correct answer: 4. Occur when people are watching

Explanation: Hysterical fits or dissociate convulsions / seizures or conversion disorders with convulsions/ seizures do not occur in sleep, are not associated with any injuries, are not associated with any incontinence and there is no post seizure amnesia or confusion. They usually occur when others are watching.